Schizotypal personality belongs to which cluster of personality disorders?
1. A
2. B
3. C
4. D

Correct answer: 1. A

Explanation: Ans. is 'a' i.e., A Personality disorderso Ciustor A : Paranoid, Schizoid, Schizotypal.o Ciustor B : Antisocial (Dissocial), Histrionic, Narcissistic, Borderline.o Ciustor C : Anxious {avoidant). Dependent, obsessive - compulsive (anankastic).